A neonate has a small reducible protrusion through a defined ring at the umbilicus. His pediatrician indicates to the parents that this will likely close spontaneously. Which of the following congenital malformations is present?
1. Umbilical hernia
2. Symptomatic patent urachus
3. Patent omphalomesenteric duct
4. Omphalocele

Correct answer: 1. Umbilical hernia

Explanation: In most case, an umbilical hernia closes spontaneously by age 4 and requires no surgery unless there is incarceration. A symptomatic patent urachus (drainage of urine at the umbilicus) is typically surgically excised. A patent omphalomesenteric duct (Meckel diverticulum) is promptly repaired to minimize the potential for intestinal obstruction or prolapse. Omphalocele and gastroschisis are defects that require surgical repair.